Pain insensitive structure in brain is :
1. Flex cerebri
2. Dural sheath surrounding vascular sinuses
3. Middle meningeal artery
4. Choroid plexus

Correct answer: 4. Choroid plexus

Explanation: Choroid plexus Choroid plexus is pain insensitive structure. Harrison writes:-"relatively few cranial structures are pain- producing; these include the slap' middle meaningeal artery, dural sinuses, falx cereberi, and proximal segments of the large partil arteries. The ventricular ependyma, choroid plexus, partil veins, and much of the brain parenchyma are not pain-producing."